Mechanism of action of beta-Lactam antibiotics would be
1. Inhibition of bacterial protein synthesis by binding to subunit of bacterial ribosomes
2. Inhibition of cell wall peptidoglycan synthesis by competitive inhibition of transpeptidases
3. Reduced drug causes strand breaks in DNA.
4. Inhibition of DNA synthesis by inhibiting DNA-Dependent RNA Polymerase

Correct answer: 2. Inhibition of cell wall peptidoglycan synthesis by competitive inhibition of transpeptidases